Upper Gastrointestinal Endoscopy (UGIE) is indicated in All exept
1. Septic Shock
2. Atypical chest pain
3. Barrett esophagus
4. Malabsorption syndrome

Correct answer: 1. Septic Shock

Explanation: (A) Septic Shock# Most common indications for diagnostic EGD include Dyspepsia unresponsive to medical therapy or associated with systemic signs, Dysphagia or odynophagia, Persistent gastroesophageal reflux symptoms, Occult gastrointestinal bleeding, and Surveillance for malignancy.# Indications for UGIE:> Upper Gastrointestinal (GI) disease: Dyspepsia, Dysphagia, Noncardiac chest pain, or Recurrent emesis)> Surveillance for upper GI cancer in high-risk settings: Barrett esophagus or Polyposis syndromes)> Biopsy for known or suggested upper GI disease: Malabsorption syndromes, neoplasms, or infections> Therapeutic intervention: Retrieval of foreign bodies, Control of hemorrhage, Dilatation or stenting of stricture, Ablation of neoplasms, or Gastrostomy placement> Contraindications for UGIE: Possible perforation Medically unstable patients Unwilling patients> Anticoagulation, Pharyngeal diverticulum, or Head and neck surgery (relative contraindications)> Septic Shock is a medically unstable patient, hence UGIE is contraindicated.